The estimation of prothrombin level is useful in the following clotting factor deficiency , except
1. 2
2. 5
3. 7
4. 9

Correct answer: 4. 9

Explanation: ref Robbins 8/e p119;7/e p128;9/e p119 The PT test evaluates how well all of the coagulation factors in the extrinsic and common pathways of the coagulation cascade work together. Included are: factors I (Fibrinogen), II (Prothrombin), V, VII and X. The PT/INR may be done at the same time as a PTT, which evaluates the clotting factors that are part of the intrinsic and common pathways: XII, XI, IX, VIII, X, V, II (prothrombin), and I (fibrinogen) as well as prekallikrein (PK) and high molecular weight kininogen (HK).